The classical lobute of the liver is centred around
1. Postal vein
2. Bile duct
3. Central vein
4. Hepatic artery

Correct answer: 3. Central vein

Explanation: Inderbir Singh's Human Histology Sixth edition Pg 298 Centre of each lobule of liver is called central vein